Drug of choice for prophylaxis of motion sickness is
1. Scopolamine
2. Ondansetron
3. Metoclopramide
4. Domperidone

Correct answer: 1. Scopolamine

Explanation: Doc for prophylaxis of motion sickness is - Hyoscine (scopolamine) If hyoscine is not given in the option them first generation Antihistaminics (Promethazine) Ondansetron -Doc for chemotherapy / radiotherapy induced vomiting. Metoclopramide- prokinetic drug Domperidone (prokinetic drug) - D2 receptor antagonist Drug of choice for levo dopa induced vomiting Both Metaclopromide and Domperidone are used for postoperative, drug and disease induced nausea & vomiting.